A person with eyes closed and mind wandering will have the following wave in EEG
1. Beta waves
2. Alpha wave
3. Delta waves
4. Theta waves

Correct answer: 2. Alpha wave

Explanation: B i.e. Alpha wave